Which of the following is the MOST potent topical corticosteroid?
1. Clobetasone
2. Clobetasol
3. Betamethasone
4. Beclomethasone

Correct answer: 2. Clobetasol

Explanation: The topical corticosteroids are classified based on their potencies mild, moderate, potent and very potent. On their vasoconstrictor potential, clobetasol and halobetasol are super potent while hydrocortisone and clobetasone are least potent. Ref: Rook's textbook of dermatology, Edition-8, Page 73.20.